Albumin infusion for parenteral use is restricted because
1. It is costly
2. Carcinogenic
3. Does not raise oncotic pressure
4. All of the above

Correct answer: 1. It is costly